Middle meningel vessel damage results -
1. Subdural hemorrhage
2. Subarachnoid hemorrhage
3. Intracerebral hemorrhage
4. Epidural hemorrhage

Correct answer: 4. Epidural hemorrhage

Explanation: Epidural HaematomaEpidural haematoma is an accumulation of blood between the dura and the skull following fracture of the skull, most commonly from rupture of the middle meningeal artery. The haematoma expands rapidly since accumulating blood is arterial in origin and causes compression of the dura and flattening of underlying gyri. The patient develops a progressive loss of consciousness if the haematoma is not drained early. Ref: HARSH MOHAN Textbook of pathology 6th edition pg no 882